A young female came to surgery OPD with bilateral breast mass. On examination, mass was firm and mobile. What is the diagnosis on the basis of findings
1. Breast cyst
2. Fibroadenoma
3. DCIS
4. LCIS

Correct answer: 2. Fibroadenoma

Explanation: Pattern of calcification in Breast Diseases Carcinoma - Microcalcification, punctuate, branching Fibroadenoma - Popcorn (coarse, granular, crushed Stone) Fibrocystic disease - powdery Fat necrosis - Curvilinear Ref: Bailey and love 27th edition Pgno :870